The cystic form of all are seen in man except -
1. E. histolytica
2. Giardia
3. Trichomonas
4. Toxoplasma

Correct answer: 3. Trichomonas

Explanation: The trichomonas are flagellate Protozoa with 3 to 5 anterior flagella.These flgellates exist only in the tropozoite phase and there is no cystic phase (refer pgno:33 baveja 3 rd edition)